PROTAPER NEXT is
1. Based on M wire NiTi Phase
2. Has reamer with alternative cutting edges
3. Has alternating wall contact points
4. Based on R phase NiTi

Correct answer: 1. Based on M wire NiTi Phase

Explanation: Option B is for RACE
Option C is for Endo sequence/ Real world endo
Twisted file, K3XF etc uses R phase Ni Ti